Diapedesis is :
1. Immigration of leucocytes through the basement membrane
2. Immigration of the leucocytes through the vessel wall to the site of inflammation
3. Aggregation of platelets at the site of bleeding
4. Auto digestion of the cells

Correct answer: 2. Immigration of the leucocytes through the vessel wall to the site of inflammation

Explanation: . Immigration of the leucocytes through the vessel wall to the site of inflammation